Which of the positions best describes the location of celiac plexus -
1. Anterior or anterolateral to Aorta
2. Posterolateral to Aorta
3. Anterolateral to sympathetic chain
4. Anteromedial to sympathetic chain

Correct answer: 1. Anterior or anterolateral to Aorta

Explanation: Celiac ganglia
-        Located near to the origin of the celiac artery from the abdominal aorta.
-        Mainly formed by two ganglia.
-        Receives preganglionic sympathetic fibers from greater and lesser splanchnic nerves.